23-year-old lady Sony develops brown macular lesions over the bridge of nose and cheek following exposure to light. The probable diagnosis is –
1. SLE
2. Acne Rosacea
3. Chloasma
4. Photodermatitis

Correct answer: 3. Chloasma

Explanation: This patient has:-

Brown macular degeneration
Involvement of bridge of nose and cheek
Photosensitivity (following exposure to light)

Suggestive of Chloasma